Alport syndrome is characterized by all except?
1. X-linked
2. Cardiac hypertrophy
3. Nerve deafness
4. Glomerulonephritis

Correct answer: 2. Cardiac hypertrophy

Explanation: Alport syndrome, Manifest by hematuria with progression to chronic renal failure, accompanied by nerve deafness and various eye disorders, including lens dislocation, posterior cataracts, and corneal dystrophy. X-linked trait in approximately 85% of cases. It is not associated with cardiac hypertrophy.